In trauma transfusion, ratio of RBCs, FFP and platelets is:
1. 1:01:03
2. 1:01:01
3. 1:01:02
4. 1:01:04

Correct answer: 2. 1:01:01

Explanation: - Trauma transfusion Packed cell : fresh frozen plasma : Platelets1 : 1 : 1